A child presents with white lesion (depigmented macule ) of 2x 2 cm with irregular margin over forehead and glabella. There is white forelock over forehead since birth. Diagnosis is:
1. Piebaldism
2. Dermatitis
3. Vitiligo
4. Nevus of Ito

Correct answer: 1. Piebaldism

Explanation: Ans. a. PiebaldismWhite forelocks are also seen associated with warden burg syndrome